BAL (British anti-Lewisite, Dimercaprol) is of no value for the treatment of poisoning by: -
1. Arsenic
2. Mercury
3. Zinc
4. Selenium

Correct answer: 4. Selenium

Explanation: BAL (British anti-Lewisite, Dimercaprol)
BAL (British anti-Lewisite, Dimercaprol) is a dithiol-chelating agent used in the treatment of poisoning by the heavy metals .
It is of no value for the treatment of poisoning by selenium, iron, or cadmium; in fact, it is contraindicated in these poisonings because the BAL metal (mercaptide) complex may be more toxic than the metal alone.